All are derived from mesonephric duct, except:
1. Vas deferens
2. Ureter
3. Trigone of urinary bladder
4. Prostatic utricle

Correct answer: 4. Prostatic utricle

Explanation: Prostatic utricle